Not associated with diabetes mellitus :
1. Cushing syndrome
2. Acromegaly
3. Hypothyroidism
4. Phaeochromocytoma

Correct answer: 3. Hypothyroidism

Explanation: Ans. is 'c' i.e., Hypothyroidism o Cortisol, growth hormone and catecholamines increase the blood sugar levels leading to impaired glucose tolerance or diabetes mellitus.Etiologic Classification of Diabetes Mellitus1) Type 1 diabetes (beta cell destruction, usually leading to absolute insulin deficiency)A) Immune-mediatedB) Idiopathic2) Type 2 diabetes (may range from predominantly insulin resistance with relative insulin deficiency to a predominantly insulin secretory defect with insulin resistance).3) Other specific types of diabetes -A) Genetic defects of beta cell development of function characterized by mutations in:1) Hepatocyte nuclear transcription factor (HNF) 4a (MODY 1).2) Glucokinase (MODY 2)3) HNF-la (MODY 3)4) Insulin promoter factor -1 (IPE-1; MODY 4)5) HNF-1b (MODY 5).6) NeuroD1 (MODY 6)7) Mitochondrial DNA8) Subunits of ATP-sensitive potassium channel.9) Proinsulin or insulin.10) Other pancreatic islet regulators/proteins such as DLF11, PAX4, BLK, GATA4, GATA6, SLC2A2 (GLGT2), RFX6, GLIS3.B) Genetic detects in insulin action:1) Type A insulin resistance2) Leprechaunism3) Rabson-Mendenhall syndrome4) Lipodystropy syndromesC) Diseases of the exocrine pancrease - pancreatitis, pancreatectomy, neoplasia, cystic fibrosis, hemochromatosis, fibrocalculous pancreatopathy, mutations in carboxyl ester lipase.D) Endocrinopathies - acromegaly, Cushing's syndrome, glucagonoma, pheochromocytoma, hyperthyroidism,somatostatinoma, aldosteronoma.E) Drug - or chemical-induced - glucocorticoids, vacor (a rodenticide), pentamidine, nicotinic acid, diazoxide, b-adrenergic agonists, thiazides, calcineurin and mTOR inhibitors, hydantoins, asparaginase, a-interferon, protease inhibitors, antipsychotics (atypicals and others), epinephrine.F) Infections - congenital rubella, cytomegalovirus, coxsackievirus.G) Uncommon forms of immune-mediated diabetes - "stiff-person" syndrome, anti-insulin receptor antibodies.H) Other genetic syndromes sometimes associated with diabetes - Wolfram's syndrome, Down's syndrome, Klinefelter's syndrome, Turner's syndrome, Friedreich's ataxia, Huntington's chorea, Laurence-Moon-Biedl syndrome, myotonic dystrophy, porphyria, Prader-Willi syndrome.4) Gestational diabetes mellitus (GDM).